Gelle's phenomenon is absent in -
1. CSOM
2. Tympanosclerosis
3. Meniere's disease
4. Otosclerosis

Correct answer: 4. Otosclerosis

Explanation: Gelle's test compares intensity of bone conducted tuning fork sound without and with raising pressure on the tympanic membrane with Siegel's speculum.Normally,Gelle's test is positive because intensity of hearing decreases when air pressure is raised in external auditory canal.In ossicular fixation or ossicular discontinuity,increased air pressure makes no changes in the sound intensity(Gelle's negative) REF.Diseases of EAR,NOSE and THROAT Ref:PL Dhingra 6th Edition page no.447